Bonding of composite resins to tooth structure is by:
1. Covalent bond
2. Ionic bond
3. Mechanical
4. Vanderval forces

Correct answer: 3. Mechanical